Most common tumor in Infant-
1. Hemangioma
2. Brain tumor
3. Leukemia
4. Ewing sarcoma

Correct answer: 1. Hemangioma

Explanation: Ans. is 'a' i.e., Hemangioma o Overall hemangioma is most common Tumor in infant,o Hemangioma is usually benign in Nature,o Leukemia is most common malignancy in pediatric age gyp.Leukemia i lymphoma=40%CNS Tumor=30%Embryonal & Sarcoma=10%o 2nd most common is CNS Tumor (30%)o Hemangioma (3 types):(1) CapillaiySalmon patchPort-wine stainStrawberry AngiomaVin Rose PatchCavernous/ Venous HemangiomaPlexiform / Arterial Hemangioma